The location of the cell bodies of the only neurons in the retina whose axons exhibit a self-propagated action potential is in which of the following layer?
1. Ganglion cell layer
2. Inner plexiform layer
3. Inner nuclear layer
4. Outer plexiform layer

Correct answer: 1. Ganglion cell layer

Explanation: The only cell type in the retina that has long axons which exhibit a self-propagated action potential is the ganglion cell.